Which of the following is not steroid?
1. Estrogen
2. Cholic acid
3. Leukotrians
4. Vitamin D

Correct answer: 3. Leukotrians

Explanation: Leukotrienes are a family of inflammatory mediators produced in leukocytes by the oxidation of arachidonic acid (AA) and the essential fatty acid eicosapentaenoic acid (EPA) by the enzyme arachidonate 5-lipoxygenase.Ref: DM Vasudevan, 7th edition, page no: 190